Hypertension in childhood typically complicates
1. Post-streptococcal glomerulonephritis
2. Minimal change disease
3. Appendicitis
4. Peptic ulceration

Correct answer: 1. Post-streptococcal glomerulonephritis

Explanation: Hypertension complicates 60-70% of post-streptococcal glomerulonephritis and it can result in cardiac failure and hypertensive encephalopathy.Post-streptococcal glomerulonephritis- Labile Hypertension as it resolves within 4-6 weeks of onset.In minimal change nephrotic syndrome, hypertension is absent.PSGN occurs 1-3 weeks following infection with nephritogenic strains (throat strain- M1, M4, M25 and skin strain -M49) of group A beta-hemolytic streptococci